Which of the following is antitubercular drugs bus assoasiated with hypothyroidism
1. Rifamipicini
2. Pyrazinamide
3. Ethionamide
4. Streptomycin

Correct answer: 3. Ethionamide

Explanation: Refer KDT 7th/771 Ethionamide PAS They are two antitubercular drugs assoasiated with hypothyroidism and goitre